Paltauf's hemorrhage may be seen in:
1. Drowning.
2. Hanging
3. Snake bite
4. Rape

Correct answer: 1. Drowning.

Explanation: Ans. a (Drowning)In drowning, fluid actually penetrates alveolar wall to enter tissues & the blood vessels.The alveolar wall may rupture due to increased pressure during the forced expiration & produce hemorrhage which when presents subpleurally is called Paltauf 's haemorrhage.Paltauf's haemorrhages are shining, pale bluish red, & may be minute or 3 to 5 cm in diameter.